Protein that precipitates on heating to 45° C and redissolves on boiling is -
1. Bence Jones Protein
2. Gamma globulin
3. Albumin
4. Myosin

Correct answer: 1. Bence Jones Protein

Explanation: In Heat test, on heating the urine 50-60°C, Bence-Jones proteins are precipitated, but when heated further it dissolves again.